Riociguat is used for
1. Pulmonary hypertension
2. Myocarditis
3. Atrial fibrillation
4. Stroke

Correct answer: 1. Pulmonary hypertension

Explanation: Used for Chronic-thromboembolic pulmonary hypertension (CTEPH) and Pulmonary arterial hypertension (PAH) It is a stimulator of soluble guanylate cyclase (sGC). Ref: KD Tripathi 7th ed